Which is not a protein misfolding disease?
1. Prion disease
2. Alzheimer's disease
3. Beta thalassemia
4. Ehler's Danlos syndrome

Correct answer: 4. Ehler's Danlos syndrome

Explanation: Ans. D. Ehler's Danlos syndromeThe Prion Related Protein DiseasesQPrion like changes underlie many neurodegenerative diseases like protein rich in a helix changes to protein rich in b sheet.Alzheimer's diseaseParkinsons diseaseHuntingtons diseaseFrontotemporal dementiaDementia with Lewy bodiesAmyloidosisBeta thalassemia